All are true about Gilbert's Syndrome Except -
1. Mild conjugated hyper bilirubinemia
2. Autosomal dominant
3. Normal liver histology
4. Almost normal liver function

Correct answer: 1. Mild conjugated hyper bilirubinemia

Explanation: Ans-AGilbert syndrome causes unconjugated hyperbilirubinemia.Gilbert's syndrome is an autosomal dominant disorder*.Characteristic features are :*Mild unconjugated hyperbilirubinemia due to:Decreased hepatic uptake of bilirubinDecreased activity of uridyl glucuronyl transferase (causing defective conjugation).*Standard hepatic biochemical tests are normal.*Normal hepatic histology.Gilbert's syndrome is a type of congenital hyperbilirubinemia.Other types of congenital hyperbilirubinemia.*Crigler Najjar* Type I-The complete absence of the enzyme - UDP glucuronyl transferase.Causes severe jaundice, death in early life.Unconjugated hyperbilirubinemia* Type II-* Partial absence of enzyme.Dubin-Johnson-a defect in excretion of conjugated bilirubin, therefore, causes conjugated hyperbilirubinemia.*Rotor's syndrome Same as Dubin-Johnson. Note :The difference between Dubin-Johnson and Rotor's Syndrome.In Dubin-Johnson there is an accumulation of pigment in the hepatocytes, imparting a brown or black color to the liver.Mnemonic - (Michael) Johnson is black